Mechanism of action of colchicine in acute gout is
1. Prevention of granulocyte migration
2. Inhibition of leukotriene synthesis
3. Inhibition of uric acid formation
4. Inhibition of purine metabolism

Correct answer: 1. Prevention of granulocyte migration

Explanation: Colchicine used in acute gout inhibits beta-tubulin protein and prevents granulocyte migration.